During moderately intense isotonic exercise all of the following increase except:
1. Mean arterial pressure
2. Heart rate
3. Respiratory rate
4. Total Peripheral resistance

Correct answer: 4. Total Peripheral resistance

Explanation: In mild-to-moderate exercise: There is increase in sympathetic drive. This results in an increase in stroke volume and heart rate, resulting in an increase in cardiac output; increased respiratory drive; dilation of vessels in the active muscles. This is due to a "muscle chemoreflex" because of metabolites from muscles e.g. K+, adenosine, NO. Diastolic BP (indicator of total peripheral resistance) either remains unchanged or decreases to some extent. The mean arterial pressure increases. Increase in ventilatory ratethat matches the increase in O2consumption and CO2production by the body. The stimulus for increased ventilation rate is due toactivation of joint proprioceptors at the beginning of the exercise.